applied tension is used for
1. agarophobia
2. blood injection phobia
3. movement disorders
4. thanatophobia

Correct answer: 2. blood injection phobia

Explanation: Applied tension is used for blood injection phobia where there is hypotension and falls, in these patients falls is because of vasodilatations when we use applied tension there may be constriction of hand and leg muscles which prevents vasodilation and prevents falls. Ref. kaplon and sadock, synopsis of psychiatry, 11 th edition, pg no. 845